Test normally undertaken to demonstrate the presence of collateral circulation of hand is
1. Kety Schmidt test
2. Allen's test
3. Sellick's test
4. Swan Ganz test

Correct answer: 2. Allen's test

Explanation: Allen's test is done to determine the presence of collateral circulation of hand before cannulating radial artery.